Structures passing through foramen spinosum is:
1. Accessory meningeal artery
2. Middle meningeal artery
3. Mandibular nerve
4. Maxillary nerve

Correct answer: 2. Middle meningeal artery

Explanation: The foramen spinosum is situated posterolateral to foramen ovale in the lateral part of middle cranial fossa.
Structures passing through the foramen spinosum:

Middle meningeal artery.
Meningeal branch of mandibular nerve or Nervus spinosus.
Middle meningeal vein - posterior trunk.